Which of the following is NOT TRUE regarding PROPOFOL?
1. It is used in day care anesthesia
2. It is contraindicated in porphyria
3. Commercial preparation contains egg extract
4. It does not cause airway irritation

Correct answer: 2. It is contraindicated in porphyria

Explanation: Propofol is a drug of choice in porphyria as it does not have any role in enzymatic pathways related to it. Sodium thiopental is contraindicated in porphyria as it is an enzyme inducer. Barbiturates promote aminolevulinic acid synthetase, which stimulates the formation of porphyrin (an intermediary in heme synthesis). This may precipitate acute intermittent porphyria or variegate porphyria in susceptible individuals. Ref: Morgan & Mikhail's clinical anesthesiology 6e